Muscle phosphorylase deficiency leads to which glycogen storage disorder?
1. Her's disease
2. McArdle's disease
3. Cori's disease
4. Andersen disease

Correct answer: 2. McArdle's disease

Explanation: Muscle phosphorylase deficiency leads to Mc Ardle's disease.  which is characterised by poor exercise tolerance, muscle glycogen being abnormally high and blood lactate level very low after exercise.
Mnemonic

Her's disease - Hepatic phorphorylase
Andersen disease - Branching enzyme
Cori's disease - Debranching enzyme.

Mnemonic A for B, C for D